Which of following is NOT a permanent mucosal fold in GIT?
1. Spiral valve of Heister
2. Gastric rugae
3. Plica semilunaris
4. Transverse rectal fold

Correct answer: 2. Gastric rugae

Explanation: The mucosa and submucosa of the stomach are folded into the grossly visible gastric rugae. When the stomach is empty, the mucosa and submucosa contract into thick folds forming rugae. As the stomach distends, the rugae flatten.